What is the characterstic of Poland Syndrome ?
1. Amastia with the absence of the Pectoralis major
2. Athelia with the absence of the Pectoralis major
3. Amastia with the absence of the Pectoralis minor
4. Athelia with the absence of the Pectoralis minor

Correct answer: 1. Amastia with the absence of the Pectoralis major

Explanation: Poland syndrome Major characterstic :Absence of the Pectoralis major muscle Others :Absence of pectoralis minor muscle, absence of costal cartilage, Hypoplasia of breast and subcutaneous tissue Hand anomalies